Inguinal lymphnode enlargement is seen in ?
1. Seminoma testis
2. Malignant melanoma foot
3. Ca cervix
4. None

Correct answer: 2. Malignant melanoma foot

Explanation: Ans. is 'b' i.e., Malignant melanoma foot